Plain abdominal X-ray is useful in:
1. Acute pancreatitis
2. Cholesterol stones
3. Ca cecum
4. Sigmoid volvulus

Correct answer: 4. Sigmoid volvulus

Explanation: Ans. (d) Sigmoid Volvulus* Sigmoid Volvulus shows Coffee bean appearance in X-ray* Sigmoid Volvulus Shows Bird beak appearance in Barium enema